Not a copper containing IUD ?
1. CuT-200
2. Nova -T
3. Multiload-250
4. LNG-20

Correct answer: 4. LNG-20

Explanation: Ans. is `d i.e., LNG-20 LNG-20 is third generation IUD which does not contain cooper. Other three options are 2"d generation (copper containing) IUDs.